The commonest intrabronchial cause of haemopysis is
1. Carcinoma lung
2. Adenoma lung
3. Emphysema
4. Bronchiectasis

Correct answer: 1. Carcinoma lung

Explanation: Answer is A (Carcinoma lung): The two most common causes for hemoptysis are bronchitis and bronchogenic carcinoma. Bronchitis is not provided amongst the options and hence bronchogenic carcinoma is the single best answer of choice. Although the relative frequency of the different etiologies of hemoptysis varies from series to series, most recent studies indicate that bronchitis and bronchogenic carcinoma are the two most common causes (in the United States)'- Harrisons Facts to Remember The most common cause of Hemoptysis Bronchitis and Bronchogenic CAe (Bronchitis > Bronchogenic CA)Q The most common causes of Hemoptysis in India TuberculosisQ The most common cause of Massive Haemoptysis Bronchectasis (World wide)e Tuberculosis (India)Q